Most common histological type of thyroid carcinoma is
1. Follicular type
2. Papillary type
3. Anaplastic type
4. Medullary type

Correct answer: 2. Papillary type

Explanation: (B) Papillary type # Morphological variants of thyroid carcinoma and their approximate frequencies are: Papillary carcinoma 75-85% Follicular carcinoma 10-20% Medullary carcinoma 5% Anaplastic carcinoma < 5%> Histology type Incidence Papillary 80% Follicular 10% Medullary 5% Anaplastic 1 %> Papillary carcinoma thyroid: Commonest carcinoma of thyroid gland (80%) Commonest carcinoma in iodine sufficient area. More common in patients with previous exposure to radiation (past childhood) Commonest age 30-40 year. Multifocal (more common) Lymph node metastases more common (i.e., lymphatic spread) Distant metastasis uncommon commonest site - lung followed by bone, liver, brain. Prognosis excellent -10 years survival (95%)